SSPE (Subacute sclerosing panencephalitis) is associated with:
1. Tetanus
2. Meningitis
3. Cholera
4. Measles

Correct answer: 4. Measles

Explanation: Ans. D: Measles 160.SSPE (Subacute sclerosing panencephalitis) is inflammatory disease of the central nervous system caused by a persistent, aberrant measles virus infection. In India, the incidence is very high (21 per million population), because of higher population of measles cases in children, more frequent subclinical measles virus infection, and perhaps, higher population of the total population below 2years of age. The clinical course in SPE is slowly progressive with death occurring within 3 years. Ten percent of cases show either a fulminant or prolonged course of the disease. Diagnosis of SSPE requires the fulfillment of at least three of the following five criteria: A typical progressive subacute mental deterioration with signs of myoclonus. Characteristic EEG changes (high amplitude slow and sharp waves occurring with slow background). Elevated CSF globulin levels greater than 20% of total CSF protein. Raised titres of measles antibodies in blood and CSF and Typical histopathological findings in brain biopsy or autopsy.